Differentiation of Neisseria gonorrhoeae and Neisseria meningitidis is by:
1. Glucose fermentation
2. Maltose fermentation
3. V.P. reaction
4. Indole test

Correct answer: 2. Maltose fermentation

Explanation: Ans is 'b' i.e., Maltose fermentation* Neisseria meningitidis ferment maltose and glucose both but gonococci only glucose (G for g).